If the disturbance occurs during histodifferentiation then this will result in all of the following defects except:
1. Dentinogenesis imperfecta.
2. Osteodentin.
3. Dens in dente.
4. None.

Correct answer: 3. Dens in dente.